What is the amount of Sodium chloride (NaCl) in reduced Osmolarity Oral Rehydration Solution (ORS)?
1. 2.6 gm/litre
2. 2.9 gm/litre
3. 3.5 gm/litre
4. 2.7 gm/litre

Correct answer: 1. 2.6 gm/litre

Explanation: The composition of reduced osmolarity ORS is: Nacl 2.6gm/litre Tri sodium citrate 2.9 gm Potassium chloride 1.5 gm/litre Glucose 13.5gm/litre Ref: Park's Textbook of Preventive Medicine, 20th Edition, Page 197.